All of the following are features of constrictive pericarditis Except:
1. Ascitis
2. Retractile Apex
3. Pericardial knock
4. Acute pulmonary Edema

Correct answer: 4. Acute pulmonary Edema

Explanation: Answer is D (Acute Pulmonary Edema) Acute Pulmonary Edema is not a usual feature of constrictive pericarditis. Constrictive Pericarditis represents a chronic process offibrosis, scarring and calcification that continues for months or years. Acute left ventricular failure or Acute Pulmonary Edema is very uncommon in constrictive pericarditis. Ascites is a common presenting feature of constrictive pericarditis Ascites is common and is usually more prominent than dependent edema Ascites often seems out of proportion to peripheral edema (CMDT) Apex beat in constrictive Pericarditis may be Retractile The Apical pulse is reduced and may retract during systolic (Broad bent's sign) - Harrisons 17th/1994 Inward motion of the apex beat called Apical Retraction suggests constrictive Pericarditis Pericardial knock is a charachteristic feature of constrictive Pericarditis Pericardial knock is produced as a result of abrupt cessation of ventricular filling as a result of fibrotic and thickened pericardium. Feature Tamponade Constrictive pericarditis Restrictive cardiomyopathy RVMI Pericardial knock Absent Often present Absent Absent